Spermatogenesis occurs at:
1. Body temperature
2. Temperature lower than core body temperature
3. Temperature higher than core body temperature
4. Temperature does not play a role

Correct answer: 2. Temperature lower than core body temperature

Explanation: Spermatogenesis requires a temperature considerably lower than that of the interior of the body. Ref: Ganong's Review of Medical Physiology, 22nd Edition, Page 427; Guyton and Hall - Textbook of Medical Physiology, 10th Edition, Page 920